Amylase increased in pleural fluid is seen in following except -
1. Rheumatoid arthritis
2. Esophageal perforation
3. Malignancy
4. Gall stone pancreatitis

Correct answer: 1. Rheumatoid arthritis